After treating the cleft palate the occlusion is
1. Normal occlusion
2. Unilateral and bilateral crossbite
3. Anterior open bite
4. Anterior deep bite

Correct answer: 2. Unilateral and bilateral crossbite